All of the following are contents of middle mediastinum except
1. Phrenic nerve
2. Ascending aorta
3. Arch of aorta
4. Pulmonary artery

Correct answer: 3. Arch of aorta

Explanation: Arch of aorta occupies in the superior mediastinum B D CHAURASIA'S HUMAN ANATOMY UPPER LIMB THORAX-VOLUME 1 SIXTH EDITION Page no:246